Which of the following condition is associated with pitting of nails?
1. Tinea unguium
2. Alopecia areata
3. Androgenic alopecia
4. Peripheral vascular disease

Correct answer: 2. Alopecia areata

Explanation: Pitting of nails are characteristically seen in nails of patients with alopecia areata and psoriasis. In alopecia areata of the nails, pits are regular in size and geometrically distributed. In alopecia areata, there are patches that are perfectly smooth and without scarring. Tiny hairs 2-3 mm in length, called exclamation hairs, are usually seen in this condition. When it involves the whole scalp hair its called alopecia totalis, and when whole scalp and body hair is involved it is called alopecia universalis. Ref: Color Atlas of Nails By C. Ralph Daniel, page 31, Berger T.G. (2013). Chapter 6. Dermatologic Disorders. In M.A. Papadakis, S.J. McPhee, M.W. Rabow (Eds), CURRENT Medical Diagnosis & Treatment 2013.